All are true except
1. Frequency distributions are usually illustrated by histograms
2. Frequencies are commonly illustrated by bar chart in qualitative data
3. Line chart is useful when comparing two or more frequency distributions by drawing them on the same diagram
4. Bimodal frequency distribution has two tails and one peak

Correct answer: 4. Bimodal frequency distribution has two tails and one peak

Explanation: Bimodal frequency distribution: Bimodal frequency distribution has two tails and two peaks Bar chart: Used with categorical and numerical variables Each bar represent one category Bars should separate Y axis should begin with 0 Each bar represent one category and its high is the frequency or relative frequency Frequency chart: No spaces between bars Quantitative variable X axis should be continuous Y axis should begin with 0 The area bar, not its high, represent its frequency